Drug of choice for ascariasis is :
1. Piperazine citrate
2. Bephenium hydroxynaphthoate
3. Mebendazole
4. Albendazole

Correct answer: 4. Albendazole